For exhumation the order should be passed by :
1. Chief judicial magistrate
2. Executive magistrate
3. Police officer
4. Session judge

Correct answer: 2. Executive magistrate

Explanation: B i.e. Executive magistrate